Middle superior alveolar nerve is a branch of ?
1. mandibular division of trigeminal nerve
2. Maxillary nerve division of trigeminal nerve
3. Ophthalmic nerve division of trigeminal nerve
4. trochlear nerve

Correct answer: 2. Maxillary nerve division of trigeminal nerve

Explanation: Cranial nerve V /trigeminal nerve comprise three branches , ophthalmic V1 - sensory division, maxillary V2 - sensory division ,and mandibular V3 - both sensory and motor division. Maxillary Nerve division - It is sensory and gives branches as follows - In Middle Cranial Fossa - 1. Meningeal branch In Pterygopalatine Fossa - 1.Ganglionic branches 2).Zygomatic : a. Zygomaticotemporal b. Zygomaticofacial 3) Posterior superior alveolar In Infraorbital Canal - 1.Middle superior alveolar 2.Anterior superior alveolar On Face - Infraorbital a. Palpebral b. Labial c. Nasa. Ref : B D Chaurasia's Human Anatomy , seventh edition , volume 4 , pg. no., 68.